Most common complication of rubella-
1. Polyarthritis
2. Encephalitis
3. Orchitis
4. Thromobocytopenia

Correct answer: 1. Polyarthritis